Lower oesophageal sphinter is relaxed by -a) Alcoholb) Caffeine / Tea c) Diazepamd) Antacid
1. ab
2. bc
3. acd
4. abc

Correct answer: 4. abc